An increased incidence of vitiligo is found in:
1. Psoriasis
2. Nutritional deficiency
3. Old age
4. Diabetes mellitus

Correct answer: 4. Diabetes mellitus

Explanation: D i.e. Diabetes mellitus